White infarcts occurs in one of the following organs
1. Ovary
2. Lung
3. Intestine
4. Heart

Correct answer: 4. Heart